T. capitis (endothrix) is caused by – a) Epidermophytonb) T.tonsuransc) T.violaceumd) Microsporume) T. rubrum
1. a
2. c
3. ac
4. bc

Correct answer: 4. bc

Explanation: Ectothric → M. canis, M. audouinii, T. mentagrophytes.
Endothrix  → T tonsurans, T voilaceum, T. schoenleinii